Minimally invasive Percutaneous plate osteosynthesis (MIPPO technique) is of use in:
1. Spiral fracture
2. Oblique fracture
3. Segmental fracture
4. Fracture with metaphyseal comminution

Correct answer: 4. Fracture with metaphyseal comminution

Explanation: Ans. D. Fracture with metaphyseal comminutionIn cases of fractures involving metaphysis with comminution there is small incision is given near the fracture site without opening the fracture site and exposing the small bone pieces, plate is slided beneath the muscle, reduction of fracture is done under C-Arm, Screws of plate are applied under C-arm without opening the whole content where plate is used these care called as biological procedure.